Emphysema is due to deficiency of
1. Tumor necrosis factor
2. Prostaglandins
3. Leucotriens
4. Alpha - 1 antitrypsin

Correct answer: 4. Alpha - 1 antitrypsin

Explanation: D. i.e. (Alpha - 1- antitrypsin) (486 - Harsh Mohan 5th) (486- Basic pathology 8th)Emphysema - is characterized by abnormal permanent enlargement of the airspaces distal to the terminal bronchioles accompanied by destruction of their walls without obvious fibrosisal - AT develops in adults and causes pulmonary emphysema in smokers as well as in non smokers* Charcot- Leyden crystal and Curshmann's spirals are seen in B. asthma**** Panacinar (Pan lobular) emphysema is associated with a-1 AT deficiency